A 57 year old male suffering from acute pancreatitis develops sudden onset breathlessness with a CVP< 18mmHg. The chest xray shows bilateral infiltrates. The possible diagnosis is
1. ARDS
2. Myocardial infarction
3. Congestive left heart failure
4. Pulmonary embolism

Correct answer: 1. ARDS

Explanation: Answer- A. ARDSARDS CriteriaAcute, meaning onset over 1 week or less.Bilateral opacities consistent with pulmonary edema must be present and may be detected on CT or chest radiograph.PF ratio < 300 mmHg with a minimum of 5 cmH20 PEEP (or CPAP).CVP < l8 mmHg.